The sugar found in RNA is
1. Ribose
2. Deoxyribose
3. Ribulose
4. Erythrose

Correct answer: 1. Ribose

Explanation: Ribose is a constituent of RNA. Ribose is also seen in co-enzymes such as ATP and NAD. Deoxyribose is seen in DNA.
Reference: Vasudevan 7th  ed, pg 76